The immunoglobulin which exhibits 'homocytotropism' is -
1. IgA
2. IgE
3. IgG
4. IgM

Correct answer: 2. IgE

Explanation: Immunoglobulin E (IgE) A type of protein in blood plasma that acts as an antibody to activate allergic reactions. REF: Ganong's Review of Medical physiology; 24th edition; page no:77